If a drug is excreted in urine at the rate of 10 mg/hr at a steady-state plasma concentration of 5 mg/L, then its renal clearance is:
1. 0.5 L/hr
2. 2.0 L/hr
3. 5.0 L/hr
4. 20 L/hr

Correct answer: 2. 2.0 L/hr

Explanation: Ans. B. 2.0L/hra. Rate of elimination (RoE)- Amount of drug/timeb. Clearance (Cl):- rate of elimination/concentrationc. In the given MCQ, RoE=10mg/hr;Con=5mg/L,d. Therefore, Cl=10/5=2L/hr